Lactic acidosis is a side effect of
1. Chlorothiazide
2. Metformin
3. Cyclosporine
4. Pentamidine

Correct answer: 2. Metformin

Explanation: (B) Metformin # LACTIC ACIDOSIS: occurs when the rate of production of lactic acid from pyruvate in muscle, skin, brain & erythrocytes exceeds the rate of removal by liver & kidney.# Causes of Lactic Acidosis:# Group A (Due to poor tissue perfusion)> Shock from any cause, Respiratory failure, Severe anaemia, Mitochondrial enzyme inhibitor (Cyanide or CO)# Group B (Due to aerobic disorder)> Diabetes mellitus; Hepatic failure; Renal failure; Severe infection (cholera, malaria)> Malignancies; Seizures> Drugs (biguanides such as metformin, salicylates, isoniazid, sorbitol, AZT analogues, fructose)> Toxins (ethanol, methanol), Congenital enzyme defect